The most common side effect of IUD insertion is -
1. Bleeding
2. Pain
3. Pelvic
4. Ectopic pregnancy

Correct answer: 1. Bleeding

Explanation: Ans. is 'a' i.e., Bleeding o Most common side effect --> Bleeding o Most common side effect requiring removal of the device --> Pain